A 71/2 year old girl with non productive cough, mild stridor for 3 months duration, patient is improving but suddenly developed wheeze, productive cough, mild fever and on x-ray hyperlucency and PFT shows obstructive curve. The most probable diagnosis is,
1. Bronchiolitis obliterans
2. Hemosiderosis
3. Pulmonary alveolar microlithiasis
4. Follicular bronchitis

Correct answer: 1. Bronchiolitis obliterans

Explanation: Bronchiolitis obliterans Repeat from Nov 08 Q no.130